Which of the following group of lymph nodes are known as 'delphic nodes'?
1. Prelaryngeal
2. Paratracheal
3. Supraclavicular
4. Posterior triangle

Correct answer: 1. Prelaryngeal

Explanation: Juxta visceral chain of anterior cervical lymph nodes consists of prelaryngeal, pretracheal, and paratracheal nodes. Prelaryngeal node (Delphian node) lies on cricothyroid membrane and drains subglottic region of larynx and pyriform sinuses.